Elasticity of heart muscle mainly depends on
1. Myosin
2. Acitn
3. Titin
4. Troponin

Correct answer: 3. Titin

Explanation: Titin, the largest known protein (with a molecular mass near 3,000,000 Da), connects the Z lines to the M lines and provides scaffolding for the sarcomere. It contains two kinds of folded domains that provide muscle with its elasticity.Ref: Ganong's Review of medical physiology 25th edition. Page: 101